Which of the following is the safety muscle of tongue?
1. Genioglossus
2. Hyoglossus
3. Palatoglossus
4. Styloglossus

Correct answer: 1. Genioglossus

Explanation: Genioglossus muscle is safety muscle of tongue as it prevents back falling of tongue.